GFR decreases with the following
1. Hypotension
2. Hypoproteinemia
3. Diuretics
4. All of the above

Correct answer: 1. Hypotension

Explanation: In low BP ....there is decresed blood flow to kidney thus GFR is decreased. Ref: Ganong's review of medical physiology; 24th edition; page no: 678